Tamsulosin is a competitive antagonist for which of the following receptors?
1. Alpha 1A
2. alpha 2
3. beta 1
4. beta 2

Correct answer: 1. Alpha 1A

Explanation: Tamsulosin is an alpha 1 blocker with a higher activity for alpha 1A and alpha 1D receptors. Ref: Padmaja 4th edition page no 104